Arrange the following nerves according to incidence of their involvement in Supra-condylar fracture of humerus a. Median nerve b. Radial nerve c. Anterior interosseous nerve d. Ulnar nerve
1. c,a,d,b
2. c,a,b,d
3. a,c,b,d
4. d,a,b,c

Correct answer: 2. c,a,b,d

Explanation: AMRU- Sequence of nerve involvement in SCF A- Anterior Interior Nerve M- Median Nerve R- Radial Nerve U- Ulnar nerve =Mechanism of injury-fall on outstretched hand(FOOSH) =TYPES- extension type most common (95-98%),flexion type less common (<5%). =Complications of supracondylar fracture of the humerus: Malunion leading to cubitus varus (gunstock deformity) Median nerve injury leading to pointing index sign Volkmann's ischemic contracture Vascular compromise - Rx- Urgent reduction in the OT and vascular status reassessed If perfusion is not restored, urgent exploration of the brachial artery is done